Best investigation for diagnosis of ampullary gall stone with obstructive jaundice is:
1. Intravenous cholecystography
2. OCG
3. PTC
4. ERCP

Correct answer: 4. ERCP

Explanation: Ans. ERCP